Ketamine is preferred anaesthetic agent in the following cases except
1. Cyanotic congenital heart disease
2. Hypertension
3. Shock
4. Asthmatic patients

Correct answer: 2. Hypertension

Explanation: Since ketamine stimulates sympathetic nervous system, it causes hypertension and tachycardia.